A 70-years old male presented with asymptomatic white patch on oral cavity following application of the denture. Treatment of choice is
1. Low does radiotherapy
2. Biopsy of the all the tissues
3. Ascertaining that denture is fitted properly
4. Antibiotics

Correct answer: 3. Ascertaining that denture is fitted properly

Explanation: Leukoplakia regress spontaneously after stopping alcohol or tobacco consumption or correction of underlying cause